A 30 year - old male has jaundice. Blood examination shows total serum bilirubin 21 mg%, direct bilirubin 9.6 mg % and alkaline phosphatase 84 KA units. The Diagnosis is :-
1. Haemolytic jaundice
2. Viral hepatitis
3. Chronic active hepatitis
4. Obstructive jaundice

Correct answer: 4. Obstructive jaundice

Explanation: Ans. is 'd' Obstructive jaundice Direct bilirubin:-9.6 mg %. That means the patient has direct Bilirubinemia. (If the direct (conjugated) Bilirubin is greater than 15% of the total Bilirubin it is direct Bilirubinemia)Alkaline phosphatase level is also elevated (N is 3-13 KA Units)Direct bilirubinemia patients can be divided in 2 groups.